Ubiquitin role in:
1. Protein degradation
2. Protein synthesis
3. Protein folding
4. Protein transportation

Correct answer: 1. Protein degradation

Explanation: Proteins that are misfolded or destined for degradation are marked for destruction by , highly conserved protein called ubiquitin. Ubiquitinated proteins are rapidly degraded by a cytosolic complex known as the proteasome.